Which structure is an important pathway for communication between the limbic system and the brain stem?
1. Fornix
2. Anterior commissure
3. Indusium griseum
4. Medial forebrain bundle

Correct answer: 4. Medial forebrain bundle

Explanation: The medial forebrain bundle extends from the septal and orbitofrontal regions of the cerebral cortex downward through the center of the hypothalamus to the brain stem reticular area. This structure serves as an important communication system between the limbic system and the brain stem